Agranular endoplasmic reticulum is involved in the synthesis of
1. Protien
2. Lipid
3. Carbohydrate
4. Vitamin D

Correct answer: 2. Lipid

Explanation: Agranular Endoplasmic reticulum is also called smooth Endoplasmic reticulum. It is the site of steroid synthesis and detoxification. Granular is involved in protein synthesis.(REF: Ganong's Review of medical physiology)